Under ESI act 1948, Sickness benefit is payable for:
1. 51 days
2. 101 days
3. 91 days
4. 81 days

Correct answer: 3. 91 days

Explanation: Sickness benefit: 70% of the average daily wages and is payable for 91 days (in any continuous period 365 days) 1) Extended sickness benefit: Payable for 2 years (set of 34 diseases) 2) Enhanced sickness benefit: Full average daily wage for duration 7 days in Vasectomy and 14 days in Tubectomy - ESI act 1948 is applicable to all employees except in Defense Railway Mines